Sympathomimietic causing increase in mean blood pressure, heart rate and cardiac output on intravenous infusion is-
1. Adrenaline
2. Isoprenaline
3. Norepinephrine
4. Phenylephrine

Correct answer: 1. Adrenaline

Explanation: Ans. is 'a' i.e., Adrenaline Comparative effects oflntravenous Infusion ofadrenaline, noradrenaline and Isoprenallne AdrNAIso1. Heart rate||||2 Cardiac output|| ||3. BP-Svstolic||nbv|||Diastolic||||||Mean||||4. Blood flow Skin and mm|| Sk, muscle||||Kidney-|| Liver|| |Coronary|||5. Bronchial muscle|| ||6. Intestinal muscle||||7. Blood sugar||||